Pulp space infection is known as:
1. Felon
2. Paronychia
3. Perinochyia
4. Onychonychia

Correct answer: 1. Felon

Explanation: Ans. (a) FelonRef: wikepedia.org.whitlow* Felon or Whitlow is an infection of the tip of finger (Pulp space)* Paronychia is an infection of tissue at the side or base of the nail.